Type of deafness seen in early stages of Meniere's disease:
1. Low frequency conductive hearing loss
2. Low frequency sensorineural hearing loss
3. High frequency conductive hearing loss
4. High frequency sensorineural hearing loss

Correct answer: 2. Low frequency sensorineural hearing loss

Explanation: Ans: B (Low frequency sensorineural hearing loss) Ref: Diseases of the Ear Nose and Throat by PL Dhingra 5th edn .2010.Page 113Explanation:Hearing loss in Meniere's disease is sensorineural type and is tluctuating.It is associated with episodic vertigo, tinnitus and sensation of fullness of ear.Early Meniere's has low frequency loss and the PTA curve is rising type.Later on the higher frequencies are affected and the PTA curve becomes flat and finally it becomes sloping type.